3rd person hallucinations are characteristic of:
1. Depression
2. Schizophrenia
3. Obsession
4. Mania

Correct answer: 2. Schizophrenia

Explanation: Ans. B: Schizophrenia FRS of schizophrenia includes: Voices heard arguing: Two or more hallucinatory voices discussing the subject in third person Schizophrenia: First rank symptoms: Hallucination Delusional perception Thought alienation phenomenon: Thought withdrawl Thought insertion Thought broadcasting Passivity phenomenon Bleulers criteria: - Ambivalence - Autism - Affect disturbance - Association disturbance Auditory hallucination in schizophrenia: - MC hallucination 1st symptom which goes after treatment - 1st symptom, which re-appears after resistance to drugs MC type: Paranoid Catatonic schizophrenia: Defect of conation - Echolalia (repetition of words) Echopraxia - Negativism - Mannerism and grimacing - Automatic obedience - Cataplexy (NOT catalepsy) Late onset schizophrenia: More than 40 years Late onset, best prognosis: Catatonic Early onset, poor prognosis: Hebephrenic Acute onset: Carries good prognosis Worst prognosis: Simple schizophrenia Amphetamine causes: Paranoid schizophrenia